Raised serum amylase levels are used to diagnose -
1. Autoimmune disease
2. Degenerative disease
3. Acute cholecystitis
4. Acute pancreatitis

Correct answer: 4. Acute pancreatitis